The most common manifestation of congenital toxoplasmosis:
1. Hydrocephalus
2. Chorioretinitis
3. Hepatosplenomegaly
4. Thrombocytopenia

Correct answer: 2. Chorioretinitis

Explanation: Characteristic triad of Congenital Toxoplasmosis: Chorioretinitis (most common) Hydrocephalus Cerebral calcifications.